The highest and most anterior part on the alveolar process in the median plane between the mandibular central incisors:
1. Prosthion
2. Inferior prosthion
3. Subspinale
4. Supramentale

Correct answer: 2. Inferior prosthion